All are histicytosis except -
1. Letter seiwe syndrome
2. Chloroma
3. Handschuller-christian triad
4. Eosinophilic granuloma

Correct answer: 2. Chloroma

Explanation: Ans. is 'b' i.e., Chloroma